A 10 year old boy , died of acute rheumatic fever. On autopsy, all the following findings can be expected, EXCEPT:
1. Aschoff nodules
2. Mccallum patch
3. Fibrinous pericarditis
4. Rupture of chordae tendineae

Correct answer: 4. Rupture of chordae tendineae

Explanation: Key pathological features of Acute RF are:Aschoff bodies: It consists of foci of lymphocytes (Primary T cells), occasional plasma cells and plump activated macrophages called Anitschkow cells.Mac Callum plaques: Are irregular subendocardial thickenings exacerbated by the regurgitant jets of blood.Pancarditis resulting from diffuse inflammation and aschoff bodies involving any of the three layers of the heart. Ref: Robbins Pathologic Basis of Disease, 6th Edition, Page 570